Toxicity of ethanol is due to:
1. Increased NADH/NAD+ ratio
2. Decreased lactate/pyruvate ratio
3. Inhibition of gluconeogenesis
4. Stimulation of fatty acid oxidation

Correct answer: 1. Increased NADH/NAD+ ratio

Explanation: Ans. A. Increased NADH/NAD+ ratioHigh concentration of NADH leads to high NADH/NAD+ ratio. This is the basic cause of all metabolic alteration in alcoholism.